Function of neocerebellum is:
1. Maintaining posture and equilibrium
2. Planning and programming of voluntary movements
3. Maintenance of muscle tone
4. Propioception

Correct answer: 2. Planning and programming of voluntary movements

Explanation: Ans. B: Planning and programming of voluntary movements